Paragonismus westermani is commonly called:
1. Lung fluke
2. Tapeworms
3. Intestinal flukes
4. Liver flukes

Correct answer: 1. Lung fluke

Explanation: Ans. A: Lung fluke Paragonismus westermani Preferred definitive host: Carnivores (e.g. felids, canids, viverids, and mustelids), rodents, and pigs. Reservoir hosts: Humans Vector/intermediate hosts: Snail of Family Thieridae; - Crab-Eriocheir japonicus. Organs affected: Mainly the bronchioles of the lungs, but the worms may wander into the brain or mesentery. Symptoms and clinical signs: Victim suffers from breathing difficulties and chronic cough. Worm is often fatal due to penetration of the brain, spinal cord, or heart. Treatment: Bithionol, Praziquantel Tapeworms: Important ones are D. latum, Taenia solium and saginata, Echinococcus, Hymenolepis etc. Intestinal flukes: Small intestine: fasciolopsis buski, Hetreophyes, Metagonimus yokogawai, Watsonius watsoni and Echinostoma Large intestine: gastrodiscoides hominis Liver flukes: Fasciola hepatica and less often opisthorcis species Flukes in the biliary tract: Clonorchis sinensis